Dose-limiting toxicity of chemotherapeutic agents is
1. Bone marrow toxicity
2. GI toxicity
3. Neurotoxicity
4. Respiratory problems

Correct answer: 1. Bone marrow toxicity

Explanation: Depression of bone marrow results in granulocytopenia, agranulocytosis, thrombocytopenia, aplastic anemia. This is the most serious toxicity; often limits the dose that can be employed.